Drug of choice in depression in old person is -
1. Fluoxetine
2. Buspirone
3. Amitryptyline
4. Imipramine

Correct answer: 1. Fluoxetine

Explanation: Selective serotonin reuptake inhibitor (SSRIs) like fluoxetine have very little anticholinergic side effects and hence, are generally safer drugs to use in elderly patients with cardiac disease or BPH.